Nerve injured in fibular neck fracture -
1. Common peroneal
2. Tibial
3. Sural
4. Femoral

Correct answer: 1. Common peroneal

Explanation: Ans. is 'a' i.e., Common peronealSite of injuryNerve injuredFracture surgical neck humerusAxillary nerveFracture shaft humerusRadial nerveSupracondylar fractureMedian nerve (anterior interosseous branch)Medial epicondyle fractureUlnar nervePosterior dislocation of HIPSciatic nerveFibular neck fractureCommon peroneal nerve